Which is not a fungus
1. Cryptosporidiosis
2. Sporotrichosis
3. Torulosis
4. Candidiasis

Correct answer: 1. Cryptosporidiosis

Explanation: * Cryptococcosis (torulosis )- a sub-acute chronic infection caused by the yeast, Cryptococcus neoformans. * Sporotrichosis is a nodular ulcerating disease of the skin and subcutaneous tissue by Sporothrix schenckii. * Cryptosporidiosis is a zoonosis and it transmitted by oro-faecal route.Human infection caused by Cryptosporidium parvum, sporozoa(parasite). * Candidiasis caused by a yeast-like fungi candida. Ref: Baveja textbook of microbiology; 4th edition